A beta-hemolytic bacteria is resistant to vancomycin shows growth in 6.5% of NaCi, is non-bile sensitive. It is likely to be
1. Streptococcus agalactiae
2. Streptococcus pneumoniae
3. Enterococcus
4. Streptococcus bovis

Correct answer: 3. Enterococcus

Explanation: Enterococcus posses several distinctive features, they can grow in the presence of 40% bile, 6.5% NaCl, at PH 9.6, at 45degree celsius and in 0.1% methylene blue milk. Strains resistant to penicillin and other antibiotics occur frequently, so it is essential to perform antibiotic sensitivity testing for proper therapy. Enterococci are intrinsically resistant to cephalosporins and offer low resistance to some aminoglycosides; In penicillin sensitive strains, synergism occurs with combination treatment with penicillin and aminoglycosides. However, if the strain shows high-level resistant to aminoglycosides, this synergism does not occur. The choice of drugs for infections due to such strains is vancomycin. Recently vancomycin resistant has begun to emerge. Ref: Textbook of microbiology; Ananthanarayan and paniker's; 10th Edition; Pg:219, 220